Most common malignancy that metastasizes to the spine in females is:
1. Thyroid
2. Prostate
3. Lung
4. Breast

Correct answer: 4. Breast

Explanation: Metastatic Bone Disease Most common sites of primary for bone metastasis. In males - Prostate > Lung In Female - Breast > Lung In Children - Neuroblastoma Overall most common is breast Skeletal sites most frequently involved Spine (Dorsal) Lytic expansile metastasis seen in Renal cancer Thyroid carcinomas Purely Osteoblastic secondaries Prostate/Carcinoid/Medulloblastoma